Bedside monitoring tool used for neonates with HIE:
1. aEEG
2. heeG
3. cEEG
4. nEEG

Correct answer: 1. aEEG

Explanation: Amplitude-integrated electroencephalography (aEEG) -Bedside monitoring tool used for neonates with HIE Poor prognosis include: Wide fluctuations in the amplitude with the baseline voltages dropping to near zero Peak amplitudes under 5 mV Seizure spikes.